Which one of the following is the fastest acting inhalational agent:
1. Halothane
2. Isoflurane
3. Ether
4. Sevoflurane

Correct answer: 4. Sevoflurane

Explanation: Sevoflurane